Mechanism of action of protease inhibitors is:
1. Prevents maturation of new viral particles
2. Prevents translation of viral RNA
3. Causes apoptosis of the affected cells
4. Inhibits proviral RNA synthesis

Correct answer: 1. Prevents maturation of new viral particles

Explanation: Ans. (A) Prevents maturation of new viral particles(Ref: KDT 7/e p809)Function of protease enzyme in HIV is to break inactive polyproteins to functional components. This post-translational modification is required for maturation of new viral particles. Protease inhibitors like atazanavir inhibit this step.